Elastic cartilage is present in-
1. Thyroid cartilage
2. Epiglottis
3. Cricoid
4. Arytenoid cartilage

Correct answer: 2. Epiglottis